Which of the following statements best explains the action of nitroglycerine on coronary vessels:
1. It mitigates angina pectoris by increasing total coronary flow
2. It preferentially dilates conducting arteries without affecting resistance arterioles
3. It preferentially dilates autoregulatory arterioles without affecting the larger arteries
4. It mainly decreases the after load

Correct answer: 2. It preferentially dilates conducting arteries without affecting resistance arterioles

Explanation: Nitrates cause redistribution of blood flow without affecting total coronary flow. Autoregulatory small vessels remain unaffected whereas large conducting vessels are dilated. Nitrates are predominantly venodilators, therefore decrease mainly preload.